Which of the following pigment is deposited in aging heart?
1. Hemosiderin
2. Lipofuscin
3. Ceruloplasmin
4. None of the above

Correct answer: 2. Lipofuscin

Explanation: Effect of aging on myocardium includes:Increased massIncreased subepicardial fatBrown atrophyLipofuscin depositionBasophilic degenerationAmyloid deposits Ref: Robbins 8th edition Chapter 12.